TB multidrug regimen is given to-
1. Prevent resistance
2. Broad spectrum
3. Prevent side effects
4. None

Correct answer: 1. Prevent resistance

Explanation: Ans. is 'a' i.e., Prevent resistance o Multidrug treatment in TB is given to -i) Prevent emergence of persistersii) Prevent relapseiii) Prevent emergence of resistanceiv) shorten the duration of treatment